The cell wall of the fungus
1. Is not an important component of a fungus
2. Comprises only 10% of dry weight of the fungus
3. Provides rigidity and strength
4. Has no relationship to the shape of the fungus

Correct answer: 3. Provides rigidity and strength

Explanation: Cell wall of the fungus is called as chitin. It provides shape and rigidity to the fungal cell